The bursa communicating with knee joint is:
1. Infrapatellar
2. Prepatellar
3. Suprapatellar
4. Lateral patellar

Correct answer: 3. Suprapatellar

Explanation: The suprapatellar bursa communicates with the cavity of knee joint.
Inflammation of infrapatellar bursa is known as Clergymanns knee. & prepatellar bursa is known as Housemaids knee.
The Anserine bursa separates the insertions of Semitendinosus, Sartorius & Gracialis from tibia.